Anencephaly is associated with the following factor :
1. Hydramnios
2. Postmaturity
3. Prematurity
4. All of these

Correct answer: 4. All of these

Explanation: All of these